Mitochondria have
1. Plasmid DNA
2. Circular DNA
3. Single stranded DNA
4. Double stranded circular DNA

Correct answer: 4. Double stranded circular DNA

Explanation: human mitochondrial DNA is a double-stranded circular molecule containing approximately 16,500 base pairs.(REF: GANONG'S REVIEW OF MEDICAL PHYSIOLOGY 23rd EDITION page no.34.)